Which of the following is not a calcium binding protein?
1. Calbindin
2. Calmodulin
3. Troponin
4. Clathrin

Correct answer: 4. Clathrin

Explanation: Clathrin (does not bind ca2+) On inside of cell membrane beneath coated pits, latticework of fibrillar protein is present called clathrin Helps in pinocytosis Calbindin Present in brush border of intestinal epithelial cells & transport Ca+2 into cell cytoplasm Amount of calcium absorption is directly proportional to quantity of calcium-binding proteins Troponin: Troponin C - binds to Ca+2 ions = Strong affinity of troponin to calcium initiate contraction process. Calmodulin In place of troponin, smooth muscle have calmodulin Ca+2 inside cell bind reversibly with calmodulin & activates myosin light chain kinase resulting in chain of events which cause muscle contraction